Major Basic Protein is formed by -
1. Lymphocyte
2. Basophil
3. Neutrophil
4. Eosinophil

Correct answer: 4. Eosinophil

Explanation: Ans. is 'd' i.e., Eosinophil Eosinophil Eosinophils are the major participants in allergic responses and parasitic infestation. Eosinophils develop from stem cells in response to IL-5. The major chemokine for eosinophi Is is eotaxin. Eosinophils have a granule that contains major basic protein (MBP). Major basic protein has the following effect ? 1. Bactericidal 2. Toxic to parasites 3. Causes degranulation of mast cells. Eosinophils also produce leukotrienes, PAF, peroxidase, neurotoxin, eosinophil Cationic proteins, reactive form of 02. Eosinophils also have weak phagocytic activity (The major phagocytic cells are neutrophils and macrophages).